Zero dose of Polio vaccine in which is give -
1. Before giving DPT
2. At birth
3. When child is having diarrhoea
4. When child is having Polio

Correct answer: 2. At birth